Signs of hyperandrogenism seen typically in PCOD are all except
1. Hirsutism
2. Clitoromegaly
3. Androgenic Alopecia
4. Acne

Correct answer: 2. Clitoromegaly

Explanation: Virilization reﬂects higher androgen levels, possibly androgen-producing tumor of ovary or adrenal gland.